Which vein drain directly into IVC -
1. Superior mesentric vein
2. Inferior mesentric vein
3. Hepatic vein
4. Splenic vein

Correct answer: 3. Hepatic vein

Explanation: Veins draining into inferior vena cava
-        Common iliac veins
-        Renal veins
-        Right gonadal vein
-        Right suprarenal vein
-        Inferior phrenic veins
-        Hepatic veins
-        3rd & 4th lumbar veins